Plethoric lung field is seen in which CHD -
1. Ebstein's anomaly
2. Tricuspid atresia
3. AS
4. VSD

Correct answer: 4. VSD

Explanation: Ans. is 'd' i.e., VSD